Which of the following drugs is useful in chronic gout but is NOT a uricosuric agent ?
1. Probenecid
2. Phenylbutazone
3. Sulfinpyrazone
4. Allopurinol

Correct answer: 4. Allopurinol